The most common sequel of gingivitis:
1. Pericoronitis
2. Periodontitis
3. Periodontosis
4. Periapical pathology

Correct answer: 2. Periodontitis